Choledochal cyst develops due to
1. Stenosis of sphincter
2. Dysfunction of long circular fibre
3. Congenital
4. Iatrogenic

Correct answer: 3. Congenital

Explanation: Choledochal cyst Cystic dilation of the biliary ducts, more common in females Association of Choledochal cyst with biliary atresia is seen, with type 1 biliary atresia is present in most cases It is congenital and discovered on antenatal ultrasound Most widely accepted hypothesis: Abnormal pancreaticobiliary ductal junction (APBDJ) APBDJ results in reflux of pancreatic fluid into the distal common hepatic duct and results in mucosal injury, chronic inflammation and weakening of the bile duct Wall Ref: Sabiston 20th edition Pgno : 1511